True about flumazenil is ?
1. Can be used in barbiturate poisoning
2. Specific antidote for opiate overdose
3. Can be used in benzodiazepine overdose
4. All of the above

Correct answer: 3. Can be used in benzodiazepine overdose

Explanation: Ans. C. Can be used in benzodiazepine overdoseFumazenil is an imidazobenzodiazepine derivative and a potent benzodiazepine recePtor antagonist that competitively inhibits the activity at the benzodiazepine recognition site on the GABA benzodiazepine receptor complex thereby reversing the effects of benzodiazepine on the central nervous system.Flumazenil does not antagonize the central nervous system effects of drugs affecting GABA-ergic neurons by means other than the benzodiazepine receptor (including ethanol, barbiturates, or general anesthetics) and does not reverse the effects of opioids.